A 50 year old male patient presents to the clinic for routine checkup. He is a known case of hypertension and is under medication. Lab investigations reveal plasma cholesterol levels 5.8 mmol/L and RBS 180 mg/dl. Physician advised the patient about diet restriction to prevent arteriosclerosis. All of the following can lead to the said condition except:
1. High plasma cholesterol levels
2. Diets high in cholesterol
3. Elevated blood triacylglycerol
4. Low LDL:HDL cholesterol ratio

Correct answer: 4. Low LDL:HDL cholesterol ratio

Explanation: Atherosclerosis is an inflammatory disease characterized by the deposition of cholesterol and cholesteryl ester from the plasma lipoproteins into the artery wall and is a major cause of heart disease.
Elevated plasma cholesterol levels (>5.2 mmol/L) are one of the most important factors in promoting atherosclerosis, but it is now recognized that elevated blood triacylglycerol is also an independent risk factor. Diseases in which there is a prolonged elevation of levels of VLDL, IDL, chylomicron remnants, or LDL in the blood (eg, diabetes mellitus, lipid nephrosis, hypothyroidism, and other conditions of hyperlipidemia) are often accompanied by premature or more severe atherosclerosis. 
There is also an inverse relationship between HDL (HDL2) concentrations and coronary heart disease, making the LDL:HDL cholesterol ratio a good predictive parameter. This is consistent with the function of HDL in reverse cholesterol transport.
Susceptibility to atherosclerosis varies widely among species, and humans are one of the few in which the disease can be induced by diets high in cholesterol.

Key Concept:
Low LDL:HDL cholesterol ratio does not lead to arteriosclerosis.
Reference: HARPERS ILLUSTRATED BIOCHEMISTRY30th ed Page no 274